Which of the following organ is most sensitive to hypothermia?
1. Liver
2. Kidney
3. Heart
4. Brain

Correct answer: 3. Heart

Explanation: Organ which is most sensitive to hypothermia is the heart. This is reason why hypothermia may present as ventricular fibrillation or asystole especially when core temperature is less than 24 degC. Other complications: Coagulopathies Disseminated Intravascular Coagulation (DIC) Pancreatitis Acute renal failure